In hereditary spherocytosis mutation, not seen is?
1. Ankyrin
2. Spectrin
3. Band-3
4. Na+  Cl- channel protein

Correct answer: 4. Na+  Cl- channel protein